Longest fetal diameter:
1. Biparietal
2. Suboccip tobregmatic
3. Occipitofrontal
4. Mentovertical

Correct answer: 4. Mentovertical

Explanation: Ans is d, i.e. MentoverticalFetal diameters-AP diameters are always longer than Transverse diameter of fetal head.Longest diameter is-Mentovertical diameter (14 cms) followed by submentovertical diameter.